Which autoantibody indicates central nervous system involvement in SLE
1. Anti - RO antibodies
2. Anti - Ribosomal P antibodies
3. Anti - ds DNA antibodies
4. All of the above

Correct answer: 2. Anti - Ribosomal P antibodies

Explanation: Anti ribosomal P autoantibody is associated with neuropsychiatric manifestation in SLE like psychosis, indicating CNS involvement.